Holt oram syndrome is characterised by
1. ASD
2. Pulmonary stenosis
3. TGA
4. TAPVC

Correct answer: 1. ASD

Explanation: Holt or am syndrome characterized by ASD. Ghai essential of pediatrics, eighth edition, p.no:401,table 15.7